Common to both acute and chronic malnutrition is:
1. Weight for age
2. Weight for height
3. Height for age
4. BMI

Correct answer: 1. Weight for age

Explanation: Ans. a. Weight for age For both acute and chronic malnutrition, best assessment can be done by weight for age. (AIIMS May 2007 Repeat) Indicators of Malnutrition Indicator Parameter InterpretationQ Stunting Low height for age Chronic malnutritionQ Wasting Low weight for height Acute malnutritionQ Under weight Low weight for age Both acute and chronic malnutritionQ